Withdrawal of which of the following causes piloerection
1. Morphine
2. Cannabis
3. Smoking
4. Alcohol

Correct answer: 1. Morphine

Explanation: Opioid withdrawal: The characteristic symptoms include lacri mation, rhinorrhoea, pupillary dilation, sweating, diarrhoea, yawning, tachycardia, mild hyper tension, insomnia, raised body temperature, muscle cramps, generalised bodyache, severe anxiety, piloerection, nausea, vomiting and anorexia. Ref: Ahuja Short textbook of psychiatry by Niraj Ahuja 7th edition, page 43.